What are the major functions of "I" cells?
1. Reabsorb potassium ion.
2. Secrete potassium ion.
3. Excrete potassium ion.
4. All of the above

Correct answer: 1. Reabsorb potassium ion.

Explanation: Reabsorb potassium ion.REABSORPTION IN LATE DISTAL TUBULE:Functionally similar to cortical collecting tubule.Facultative type:Reabsorption of solutes/water depends on water/electrolyte balance.Hence, "Facultative type" of absorption.Cells involved in reabsopion:Principal (P) cells.Intercalated (I) cells.FUNCTIONS OF 'I' CELLS:Reabsorb potassium ion.Secrete hydrogen ions into tubular lumen.